A person is responsible for his criminal act, if he was suffering from which of the following condition:
1. Somnambulism
2. Somnolentia
3. Post traumatic automatism
4. Alcohol intoxication with his will

Correct answer: 4. Alcohol intoxication with his will

Explanation: DRUNKENNESS: An act done by a person who is incapable of knowing the nature of the act due to intoxication is not an offence, if the thing which intoxicated him was administered to him without his knowledge or against his will (Sec. 85. I.P.C.). An intoxicated person (voluntary drunkenness) is criminally responsible, if he had the intention or knowledge of committing a crime (Sec. 86, I.P.C.). A person is NOT responsible for his criminal acts done during :- Somnolentia Somnambulism Post-traumatic automatism Twilight states Oneiroid states.